All open into middle meatus except
1. Frontal sinus
2. Sphenoid sinus
3. Maxillary sinus
4. Ethmoidal sinus

Correct answer: 2. Sphenoid sinus

Explanation: THE FOLLOWING FEATURES ARE: 1.Ethmoidal bulla 2.Hiatus semilunaris 3.Infundibulum 4.Opening of frontal air sinus 5.Opening of anterior ethmoidal sinus 6.Opening of maxillary sinus Ref BDC volume 3,sixth edition pg 243